A  cardiologist  wants  to  study  the  effect  of  an  antihypertensive  drug.  He  notes  down  the  initial  systolic blood pressure (mmHg) of 50 patients and then administers  the  drug to  them.  Which of the following is  most appropriate statistical test of significance to measure the  change in blood pressure after a  weeks  treatment ?
1. Paired t-test
2. Unpaired or independent t-test
3. Analysis of variance
4. Chi-square test

Correct answer: 1. Paired t-test

Explanation: Statistical Test Alternatives: Parametric - Nonparametric